One of the following conditions the only means of sexual excitement are in inanimate objects -
1. Exhibitionism
2. Fetishism
3. Sadism
4. Masochism

Correct answer: 2. Fetishism

Explanation: In fetishism, the sexual arousal occurs either solely or predominantly with a non-living object, which usually intimately associated with the human body.